Migraine prophylaxis includes:
1. Verapamil
2. Valproate
3. Amitryptiline
4. All of the above

Correct answer: 4. All of the above

Explanation: Trick: Very Volatile Pharma Agent For Migraine Prophylaxis
V  →  Verapamil
V  →  Valproate
P  →  Pizotifen
A  →  Amitryptiline
F  →  Flunarizine
M  →  Methylsergide
P  →  Propranolol